The HIV virus can be transmitted by the following routes, except -
1. Homosexual contact
2. Intact skin
3. Maternofoetal
4. Needle prick

Correct answer: 2. Intact skin